Enzyme which is not regulated by phosphorylation dephosphorylation ?
1. Glycogen synthase
2. Glycogen phosphorylase
3. Aspartate transcarboxylase
4. HMG CoA reductase

Correct answer: 3. Aspartate transcarboxylase

Explanation: Ans. is 'c' i.e., Aspartate transcarboxylase